Base substitution mutations can have the following molecular consequence, EXCEPT:
1. Changes one codon for an amino acid into another codon for that same amino acid
2. Codon for one amino acid is changed into a codon of another amino acid
3. Reading frame changes downstream to the mutation site
4. Codon for one amino acid is changed into a translation termination codon

Correct answer: 3. Reading frame changes downstream to the mutation site

Explanation: Reading frame changes downstream to the mutation site occurs in frameshift mutations but not in base substitution mutations. Ref: Harper Illustrated Biochemistry, 26th Edition, Chapter 38, Pages 361-64